All the following are true about bronchopulmonary aspergillosis except:
1. Central bronchiectasis
2. Pleural effusion
3. Asthma
4. Eosinophilia

Correct answer: 2. Pleural effusion

Explanation: Answer is B (Pleural effusion): Pleural effusion is not seen as part of allergic bronchopulmonary Aspergillosis ABPA occurs in patients with preexisting asthma and cystic fibrosis. - Harrisons ABPA causes intermittent episodes of wheezing, pulmonary infiltrates, sputum and blood eosinophilia, low grade fever and brownish or greenish flecks in the sputum. Patients with repeated exacerbations develop central bronchiectasis and progressive loss of pulmonary function.